At high altitude of around 3000 meters, a person complains of breathlessness. All of the following can be used for management EXCEPT:
1. Intravenous digoxin
2. Oxygen consumption
3. Immediate descent
4. Acetazolamide

Correct answer: 1. Intravenous digoxin

Explanation: High altitude pulmonary edemaHigh altitude cerebral edema/acute mountain sickness* Immediate descent to at least 2000 feet (If possible)* Rest, reclined with head elevation* O2 supplementation (SpO2 >90%)* Nifedipine or sildenafil* Immediate descent to at least 2000 feet (If possible)* Rest, reclined with head elevation* Mild - Acetazolamide* Moderate/Severe- Dexamethasone